Absolute contraindication of combined oral contraceptive pill is:
1. Epilepsy
2. Obesity
3. Smoking 10 cigars/day
4. Active liver disease

Correct answer: 4. Active liver disease